Wof is the fastest acting inhaled bronchodilator
1. Ipratropium bromide
2. Salbutamol
3. Salmeterol
4. Formoterol

Correct answer: 2. Salbutamol

Explanation: Salbutamol (Albuterol):- A highly selective b2 agonist when inhaled from pressurized metered dose inhaler (pMDI) produces bronchodilatation within 5 min and the action lasts for 2-4 hours(short acting,fast acting),therefore used to abort and terminate attacks of asthma, but is not suitable for round-the-clock prophylaxis. side effects:- Muscle tremors are the dose related side effect. Palpitation, restlessness, nervousness, throat irritation and ankle edema can also occur. Hypokalaemia is a possible complication. Formoterol, Salmeterol are long acting B2 agonists, formoterol is fast acting compared to Salmeterol. Ref:- kd tripathi; pg num:- 223